Triggered automaticity leads to development of which of the following rhythm disorders?
1. Sinus bradycardia
2. Sinus tachycardia
3. Torsades de pointes
4. Ischemic ventricular fibrillation

Correct answer: 3. Torsades de pointes

Explanation: Triggered Automaticity is related to Torsades de pointes(Polymorphic V. Tachycardia). There could be electrolyte imbalance like (Hypokalemia, Hypomagnesemia) that results in development of ectopic foci. Electrolyte imbalance triggering ectopic foci so word came "Triggered Automaticity" Ischemic ventricular fibrillation is inhibition of phase '0' of Depolarization.